The type of mammary ductal carcinoma is situ (DCIS) most likely to result in palpable abnormality in the breast is:
1. Apocrine DCIS
2. Neuroendocrine DCIS
3. Well differentiated DICS
4. Comedo DCIS

Correct answer: 4. Comedo DCIS

Explanation: Ans. (d) Comedo DCIS(Ref Sabiston 20th Edition Page 837)Types of DCIS:* Comedocarcinoma* Cribriform* Micro Papillary* Solid (High Grade)* Papillary (High grade)Comedo carcinoma presents with palpable mass in breast commonly